Which of the following is most likely to be used in a young child with chronic renal insufficiency?
1. Cyanocobalamin
2. Desferrioxamine
3. Erythropoietin
4. Filgrastim (G-CSF)

Correct answer: 3. Erythropoietin

Explanation: Erythropoietin is produced by kidneys, in CRF production of erythropoietin is reduced and we need to supplement it from outside. Preprations used in CRF are Epoietin, Darbopoietin, Peginesatide. Its also used in anaemia due to myelosuppressive Drugs(zidovudine)and cancer chemotherapy. Cyanocobalamine is used in treatment of megaloblastic aneamia Desferroxamine(S.C.) is used as an antidote of acute iron poisoning Filgrastim is (G-CSF) used in neutropenia due to anticancer drugs